Which one of the following is not an amide –
1. Lignocaine
2. Procaine
3. Bupivacaine
4. Dibucaine

Correct answer: 2. Procaine

Explanation: Esters (aminoesters) :- Procaine, chlorprocaine, tetracaine (amethocaine), Benzocaine, Cocaine.
Amides (aminoamides) Lignocaine, Mepivacaine, Prilocaine, Bupivacaine, Etidocaine, Ropivacaine , Dibucaine.